Bone marrow aplasia is seen with all except :
1. Methicillin
2. Chloramphenicol
3. Alpha methyl hydantoin
4. Phenylbutazone

Correct answer: 1. Methicillin

Explanation: Methicillin Causes of drug induced aplastic anemia Antibiotics Psychotropic * Chloramphenicol * Phenothiazine * Cotrimoxazole Anticonvulsant * Nitrofurantoin * Phenytoin * Carbamazepine * Valproate Antiinflammatory Antirheumatic * Phenylbutazone * Gold salts * Indomethacin * D penicillamine * Diclofenac Cytotoxic drugs Antithyroid * Vincristine * Carbimazole * Andriamycin * Methimazole * Methotrexate etc. * Methylthiouracil